Symptoms of opioid withdrawal are all, EXCEPT:
1. Polyuria
2. Yawning
3. Fever
4. Insomnia

Correct answer: 1. Polyuria

Explanation: Opioid withdrawal syndrome may resemble a severe flu-like illness. The syndrome is characterized by rhinorrhea, sneezing, yawning, lacrimation, abdominal cramping, leg cramping, piloerection (gooseflesh), nausea, vomiting, diarrhea, dilated pupils, fever, and insomnia. Heroin and methadone withdrawal symptoms peak in 36-72 hours and 72-96 hours, respectively, and may last for 7-10 days and at least 14 days, respectively.